A 40 year old male,Chronic smoker comes -with-acute epigastric discomfort, for past one hour. ECG showing ST segment elevation in inferior leads. What is the immediate intervention?
1. Aspirin
2. Thronibolytic therapy
3. IV paritoprazole
4. Beta blockers

Correct answer: 1. Aspirin